Small cuff size will lead to?
1. Falsely increased BP
2. Falsely low BP
3. No effect on BP
4. Fluctuating BP

Correct answer: 1. Falsely increased BP

Explanation: a. Falsely increased BP(Ref: Nelson's 20/e p 2164)In older children, a mercury sphygmomanometer with a cuff that covers approximately two-thirds of the upper part of the arm or leg may be used for blood pressure measurement. A cuff that is too small results in falsely high readings, whereas a cuff that is too large records slightly decreased pressure.